Satellite lesion on cornea are seen in:
1. Viral ulcer
2. Bacterial ulcer
3. Fungal ulcer
4. Herpetic ulcer

Correct answer: 3. Fungal ulcer

Explanation: Ans. (c) Fungal ulcerRef: A.K. Khurana 6th ed. /106, Khurana 4th ed./100Please refer to above explanation